Which of the following is having a 90% associated with HLA B27
1. Ankylosing spondylitis
2. Rheumatoid arthritis
3. Psoriasis
4. Reiter's syndrome

Correct answer: 1. Ankylosing spondylitis

Explanation: Ref Robbins 9/e p205 A positive result meansHLA-B27 was found in your blood. You may have a higher-than-average risk of certain autoimmune diseases, such as ankylosing spondylitis and reactive arthritis.